In formol ether concentration technique, which layer contain the parasites?
1. Ether
2. Fecal debris
3. Formal water
4. Sediment

Correct answer: 4. Sediment

Explanation: Ans. D. Sediment. (Ref. Medical parasitology by Rajesh Karyakarte 1st ed/pg. 215; Fig. 12-2)Concentration techniques include:# Sedimentation techniques- Formol ether concentration technique- Formol detergent concentration technique# Floatation techniques- Sodium chloride floatation techniques- Zinc sulphate floatation technique- Sugar floatation techniqueFormol ether concentration technique is overall best sedimentation technique. It is rapid and gives good results. The figure shown in reference mentioned clearly shows sediment-containing parasites.